Wernicke's heminopic pupillary reaction indicates lesions at the level of:
1. Optic tract
2. Distal part of optic nerve
3. Optic chiasma
4. Optic radiations

Correct answer: 1. Optic tract

Explanation: Ans. Optic tract